The Children Act, 1960 (Amended 1977) p[rovides for care, maintenance, welfare, training, education and rehabilitation of -
1. Physically handicapped children
2. Deliquent children
3. Children below 6 years of age
4. Malnourished children needing nutrition and preschool sevices

Correct answer: 2. Deliquent children

Explanation: parks textbook of preventive and social medicine 23rd edition *the children act 1960 in india provides for the care ,maintenance,welfare,training,education and rehabilitation of the delinquent child.